Menkes kinky hair disease is due to deficiency of :
1. Copper
2. Iodine
3. Iron
4. Selenium

Correct answer: 1. Copper

Explanation: Menkes disease is an X - linked disorder due to deficiency of Copper.